Egg has all vitamins except -
1. B1
2. B6
3. C
4. E

Correct answer: 3. C

Explanation: Expect vitamin C, egg contain all fat soluble vitamin. REF. PARK'S TEXTBOOK OF PREVENTIVE AND SOCIAL MEDICAL 21ST EDITION. PAGE NO - 582